A full thickness loss of middle one third of the upper lip is best reconstruted by -
1. Naso labial flap
2. Cheek flap
3. Abey flap
4. Estlander's flap

Correct answer: 3. Abey flap

Explanation: Ans is c i.e. Abey flap